Ventral mesogastrium derivatives include all EXCEPT:
1. Falciform ligament
2. Coronary ligament
3. Lesser omentum
4. Gastrosplenic ligament

Correct answer: 4. Gastrosplenic ligament

Explanation: - Gastrosplenic ligament develops in dorsal mesogastrium. Structures derived from ventral mesogastrium:- Liver Ventral pancreatic bud Right and Lefttriangular ligaments Coronary ligaments of liver Falciform ligament of liver Lesser omentum Structures derived from dorsal mesogastrium:- Spleen Dorsal pancreatic bud Gastrophrenic ligament Gastrosplenic ligament Leinorenal ligament Greater omentum